A drug addict was caught hold of by narcotic drug addiction department. He was found to have jet black tongue and teeth. Likely drug addiction is of:
1. Diazepam
2. (Cannabis) Charas
3. Cocaine
4. Heroin

Correct answer: 3. Cocaine

Explanation: Ans. is 'c' Cocaine The tongue and teeth of habitual cocaine users are black.Other symptoms of chronic cocaine poisoning.It is also known as cocainism, cocainophagia or cocainomaniaWhen cocaine is used as a snuff* there is generally perforation of the nasal septum*.AnorexiaLoss of weightWeaknessTremorsImpotenceMoral deteriorationInsanityIncreased erotic tension in women and nymphomania.In men the condition leads to manic sexual perversions, mainly homosexuality.Insanity is characterized by many delusions of persecutions and hallucination chiefly tactile and visual. Magnan's symptom*, the feeling as if grains of sand* are lying under the skin or small insects* (cocaine bugs) are creeping on the skin is the most characteristic tactile hallucination*.